In daily regimen, which of the following drugs of initiation phase will be stopped when continuation phase begins for new pulmonary TB cases?
1. Ethambutol(E)
2. Isoniazid(H)
3. Rifampicin(R)
4. Pyrazinamide(Z)

Correct answer: 4. Pyrazinamide(Z)

Explanation: Treatment guidelines for new pulmonary TB cases : Intensive phase: HRZE daily doses for 8 weeks Continous phase: HRE daily doses for next 16 weeks. Only pyrazinamide will be stopped in continous phase.